Funisitis describes infection of which of the following?
1. Decidua
2. Chorionic villi
3. Umbilical cord
4. Placental septum

Correct answer: 3. Umbilical cord

Explanation: The inflammation of the chorionic plate and of the umbilical cord--funisitis